An adverse effect of neuroleptic drugs is directly correlated positively to the antipsychotic potency of the different compounds. Which of the following is it?
1. Sedation
2. Extrapyramidal motor disturbances
3. Postural hypotension
4. Lowering of seizure threshold

Correct answer: 2. Extrapyramidal motor disturbances

Explanation: (Ref: KDT 6/e p426, 431) Antipsychotic potency of typical antipsychotic drugs is related to their D2 receptor blocking action. D2 blocking action is also responsible for extrapyramidal adverse effects like muscle dystonia and Parkinsonism etc.